An infant is brought to the emergency room with hemolytic uremic syndrome and thrombocytopenia. Stool sample was cultured and non-lactose fermenting colonies grown on Sorbitol MacConkey agar, which also fermented glucose with gas. Which one of the following bacteria would most likely be isolated from a stool specimen?
1. Shigella
2. Salmonella
3. Aeromonas
4. E. coli O157/H7

Correct answer: 4. E. coli O157/H7

Explanation: Ans. is 'd' i.e., E. coli O157/H7EHEC (Enterohemorrhagic E. coliA/erocytotoxin producing E coli) - produces verotoxin (VT) whose major target is vascular endothelial cells - Hemolytic uremic syndrome (HUS), Hemorrhagic colitis - .